XXY klinfilter which has extra?
1. X-chromosome
2. Y chromosome
3. Both
4. None

Correct answer: 1. X-chromosome

Explanation: Ans. is 'a' i.e., X-chromosome The major numerical disorders of chromosomes are 3 autosomal trisomies Trisomy 21 -- Down syndrome Trisomy 18 -- Edwards syndrome Trisomy 13 -- Patau syndrome Four types of sex chromosomal aneuploidies: Turner syndrome (usually 45,X) Klinefelter syndrome (47,XXY) 47,XXX 47,XYY By far the most common type of trisomy in liveborn infants is trisomy 21 (karyotype 47,,+21 or 47,XY +21) or Down syndrome.